Meniscal calcification is seen in?
1. Pseudogout
2. Alkaptonuria
3. Fluorosis
4. Diffuse idiopathic skeletal hyperostosis

Correct answer: 1. Pseudogout

Explanation: Meniscal Calcification is seen in PseudoGout Intervertebral Disc calcification is seen in Alkaptonuria and Ankylosing Spondylitis. Interosseous membrane and Sacrotuberous Calcification are seen in Fluorosis. Diffuse Idiopathic Skeletal Hyperostosis / Forestier Disease is characterized by flowing ossification of Anterior Longitudnal Ligament. meniscal calcification seen in Ap X-ray of right knee joint.